All the following are true about Chiari network in the heart except:
1. It is due to incomplete resorption of the left valve of sinus venosus
2. It originates from the Eustachian valve and connects to the coronary sinus
3. It is nothing but fenestrated Eustachian valve
4. It is a network in the Eustachian valve

Correct answer: 1. It is due to incomplete resorption of the left valve of sinus venosus

Explanation: Ans: (a) It is due to incomplete resorption of the left valve of sinus venosusRef: Gray's Anatomy, The Anatomical Basis of Clinical Practice, Susan 2016, Page 1001Chiari's network-often noticed as fenestrated membranous or in the valve of inferior vena cava (Eustachian valve) and coronary sinus.It originates from the Eustachian valve and connects to the different parts of the right atrium, including the coronary sinus.It results from incomplete resorption of the right valve of sinus venosus*.Often clinically insignificant.Chiari's network has been associated with the pathogenesis of thromboembolic disease, endocarditis, arrhythmias, cardiac flow obstructions, heart murmurs, infective endocarditis, cardiac tumours and entrapment of catheters on percutaneous intervention.